Xylometazoline nasal drops given before nasotracheal intubation to
1. Vasoconstriction of nasal mucosa
2. Dilatation of orifices
3. Decrease secretion
4. Dilation of posterior

Correct answer: 1. Vasoconstriction of nasal mucosa